All are antioxidants except
1. Vit A
2. Vit C
3. Vit D
4. Vit E

Correct answer: 3. Vit D

Explanation: Antioxidant Vitamin Vitamin E Vitamin C Beta Carotene (Vit A) selenium ref Satyanarayana 4th ed page 661